Principles of primary health care include all of the following except -
1. Political commitment to health for all
2. Resources allocation
3. Disability prevalence
4. Community involvement

Correct answer: 3. Disability prevalence

Explanation: principles of primary health care Equitable distribution Community participation Intersectoral coordination Appropriate technology (refer pgno:892 park 23rd edition)